Behavioral therapy is done in ?
1. Schizophrenia
2. Agoraphobia
3. Delirium
4. Neurotic depression

Correct answer: 2. Agoraphobia

Explanation: Ans. B. AgoraphobiaMost important use of behavioral therapy - Phobia & OCD.Other users are - Other anxiety disorders (including panic), Eating disorders, Autism, ADHD, some personality disorder, sexual dysfunctions, depression.